Median nerve involvement is most common with:
1. Elbow dislocation
2. Supracondylar fracture
3. Lateral condyle fractrue
4. Olecranon fracture

Correct answer: 2. Supracondylar fracture

Explanation: Ans: B (Supracondylar fracture) Ref: Practical Fracture Treatment by Ronald McRae 4th edition, p 147-148, 159Explanation:Median nerve injury is common with supracondylar fractures in children with an incidence of 6 to 16%.The Anterior Interosseos distribution of the nerve is more commonly affected.This nerve is injured in elbow dislocations less often, though it can occur.